Major manifestation of rheumatoid fever is all except:
1. Carditis
2. Polyarthritis
3. Subcutaneous nodules
4. Arthralgia

Correct answer: 4. Arthralgia